Juxtaglomerular apparatus lies in relation to ?
1. Proximal convoluted tubule
2. Ascending loop of Henle
3. Descending loop of Henle
4. Glomerulus

Correct answer: 4. Glomerulus

Explanation: GlomerulusAs the name implies ju.aglomerulus apparatus (JGA) lies at hilum of glomerulus Juxtaglornerulus apparatus The three microscopic components of the apparatus are the macula densa, extraglomerular mesangial cells (lacis cells), and juxtaglomerular cells.Juxtaglomerular cellJuxtaglomerular cells (JG cells, also known as granular cells) are the site of renin secretion.Macula densaAt the point where the afferent arteriole enters the glomerulus and the efferent leaves it, the tubule of the nephron touches the arteriole of the glomerulus from which it arose.At this location, which marks the start of the distal convulation, there is the modified region of tubular epithelium called the macula densa